Risk factors for development of diabetic retinopathy include:
1. Duration of diabetes
2. Heredity
3. Pregnancy
4. All of the above

Correct answer: 4. All of the above

Explanation: Ans. All of the above